Allergic salute is seen in -
1. Allergic rhinitis
2. Chronic sinusitis
3. NasalMyiasis
4. Chronic onjunctivitis

Correct answer: 1. Allergic rhinitis

Explanation: Ans. is 'a' i.e.. Allergic rhinitis Clinical presentation of allergic rhinitiso There is no sex predilection, o The symptoms include : -y Itching of eyes and nose u Sneezingy Profuse watery dischargey Post nasal dripy Concomittant coughing and wheezingy Nasal obstructiono On examination, following findings are seen : -NoseNasal mucosa is pale, boggy, hypertrophic and may appear bluish.Watery and mucoid discharge is present.Transverse crease is present on the nose due to unward rubbing of nose (allergic salute).Turbinates are swollenEar : Otitis media with effusion due to blockage of Eustachian tube is a possibility in children.Pharynx : Granular pharyngitisLarynx : Oedema of the vocal cords and hoarseness of voice.Eyes : Dark circles i.e., allergic shiners are seen under the eyes.